Shawl sign is seen in -
1. Neonatal lupus
2. Cutaneous scleroderma
3. SLE
4. dermatomyositis

Correct answer: 4. dermatomyositis

Explanation: Shawl signConfluent macular violaceous erythema on the posterior neck and shoulders in patients of dermatomyositis is called Shawl sign. IADVL textbook of dermatology page 1246